One of the longer acting analogue among uterine stimulants
1. Di hydro ergotamine
2. Carbetocin
3. Atosiban
4. Magnesium salts

Correct answer: 2. Carbetocin

Explanation: Carbetocin is a newer longer acting analogue of oxytocin . Now a days oxytocin use is reduced and this newer acting analogue is being used. Ref: katzung 12th ed, endocrinology.